Most common sito involved In TB of genital organs is :
1. Endometrium
2. Cervix
3. Tubes
4. Ovaries

Correct answer: 3. Tubes

Explanation: Tubes